Half life of cobalt-60:
1. 3.3 years
2. 4.3 years
3. 5.3 years
4. 6.3 years

Correct answer: 3. 5.3 years

Explanation: Ans. C: 5.3 years Half life of cobalt-60 is 5.3 years, therefore in practice have to replaced every 3-4 years Half-lives of important isotopes: 1-131: 8 days Rn 222: 3-6 days Co 60: 5.2 years